Remnants of WolFion ducts in a female are in
1. Pouch of Douglas
2. Broad ligament
3. Utero vesical pouch
4. iliac fossa

Correct answer: 2. Broad ligament

Explanation: Gartner's duct remnants of mesonephric duct in female Located in Broad ligament ref : BD CHAURASIA